Direct action of radiation is the dominant process for
1. X-rays
2. Neutrons and alpha particles
3. Electrons
4. Gamma rays

Correct answer: 2. Neutrons and alpha particles

Explanation: Ionizing radiation acts by two methods: Direct and IndirectDirect action is radiation directly causing DNA damage; example: neutrons and alpha particlesIndirect action is radiation causing free radical production which acts on DNA; example: photons and gamma raysReference: Khan Physics of Radiation therapy; 5th edition